Palivizumab is a humanized monoclonal antibody. For which of the following conditions has it been approved for?
1. Coxsackievirus
2. Avian influenzae
3. Parainfluenzae
4. Respiratory syncytial virus

Correct answer: 4. Respiratory syncytial virus

Explanation: d. Respiratory syncytial virus(Ref: Nelson 20/e p 1608)Drug Use in RSV infectionPalivhzumabIt is a monoclonal antibody licensed for prophylaxis in high-risk infants during the RSV season, and does prevent about half of the expected hospitalizations in that population.RibavirinIt is an antiviral agent delivered as an aerosol that showed a modest beneficial effect on the course of RSV pneumonia, with some reduction in the duration of both mechanical ventilation and hospitalization. However, latest studies have failed to document a clear beneficial effect of ribavirin, and therefore this drug is no longer used for routine therapy of RSV disease.